Curdy vaginal discharge is seen in which infection-
1. Bacterial vaginosis
2. Candidiasis
3. Trichomoniasis
4. Chlamydia

Correct answer: 2. Candidiasis

Explanation: Ans. is 'b' i.e., Candidiasis Candidiasiso MC common vaginitis during pregnancy, OCPs, steroid therapy, antibiotic therapy, diabetes & immunocompromised patients.o Caused by a gram positive fungus Candida (MC-albicans)o Presents with curdy white discharge writh intense pruritus, dysuria, dyspareunia.o 20% patients are asymptomatic.o O/e shows cottage cheese appearance of discharge with swollen inflamed genitals,o Ph of discharge is < 4.5.o Diagnosis is essentially based on clinical findings but confirmed 10% KOH mount of the discharge or by culture on Sabouraud's/Nickerson's media,o Whiff test is negative.o DOC is Azole groups of antifungals like fluconazole.'' meconazole/clotrimazole, both for local and oral use.o Both partners should be treated.o DOC is in pregnancy is topical azole antifungals in 2nd or 3rd trimester.